Most common site of fertilization is:
1. Cervix
2. Ampulla
3. Fimbriae
4. Uterus

Correct answer: 2. Ampulla

Explanation: ANSWER: (B) AmpullaREF: Ganong's 22nd ed chapter 23Also asked in June 2011"In humans, fertilization of the ovum by the sperm usually occurs in the ampulla of the uterine tube"